All of the following occur in mitochondria except
1. Citric acid cycle (Kreb's cycle)
2. Glycogenolysis
3. Fatty acid oxidation
4. Electron transport chin

Correct answer: 2. Glycogenolysis

Explanation: Glycogenolysis is the breakdown of glycogen (n) to glucose-1-phosphate and glycogen (n-1). Glycogen branches are catabolized by the sequential removal of glucose monomers phosphorolysis, by the enzyme glycogen phosphorylase